True about metastatic calcification:
1. Serum ca level is normal
2. Occurs in dead/dying tissue
3. Occurs in damaged heart valves
4. Calcification starts in mitochondria

Correct answer: 4. Calcification starts in mitochondria

Explanation: Ans. (d) Calcification starts in mitochonda(Ref: Robbins 9th/pg 65)Calcification begins in mitochondria QThe prime abnormality is due to pathological entry of large amount of calcium into organelle especially mitochondria